What happens in disease elimination:
1. Incidence is reduced by 10%
2. Interruption of disease transmission from large geographical areas
3. Global eradication of disease agent
4. Prevalence is reduced by 10%

Correct answer: 2. Interruption of disease transmission from large geographical areas